Which one of the following is effective in the treatment of brucellosis -
1. Rifampicin
2. Amphotericin
3. Ketoconazole
4. Pencillin

Correct answer: 1. Rifampicin